DVT, investigation of choice is -
1. Doppler
2. Plethysmography
3. Venography
4. X-ray

Correct answer: 1. Doppler